Features of healthy gallbladder on laparotomy are all except
1. Typical "sea-green" coloured
2. Wall is thin and elastic
3. Can be emptied
4. Not easily visible

Correct answer: 4. Not easily visible

Explanation: Healthy Gallbladder Greenish blue or sea-green color Thin and elastic wall Can be emptied by squeezing Ref: Sabiston 20th edition Pgno : 1494